Dermatophytes infecting-
1. Subcutaneous tissue
2. Systemic organs
3. Nails, hair and skin
4. Superficial skin and deep tissue

Correct answer: 3. Nails, hair and skin